Trachoma is one of the leading causes of blindness. Which of the following best typifies the disease?
1. It is caused by C. trachomatis
2. It is best treated with systemic cephalosporins and ophthalmic tetracycline
3. It affects 400 million people in the Pacific Rim
4. It is a form of chronic uveitis

Correct answer: 1. It is caused by C. trachomatis

Explanation: Trachoma is the most common cause worldwide of blindness. It is a chronic keratoconjunctivitis that affects about 400 million people and can be treated with sulfonamides and tetracycline. Relapse of trachoma is common.